Which is the commonest congenital cataract which presents as visual impairment?
1. Nuclear
2. Zonular
3. Capsular
4. Coralliform

Correct answer: 2. Zonular

Explanation: Lamellar or Zonular cataract refer to the developmental cataract in which the opacity occupies a discrete zone in the lens. It is the most common type of congenital cataract presenting with visual impairment. It is usually bilateral. Typically this cataract occurs in a zone of fetal nucleus surrounding the embryonic nucleus. Ref: Ophthalmology by A K Khurana, 4th edition, Page 172.